Nitrates in excess of ----mg/L may cause infantile methaemoglobinemia
1. 15
2. 25
3. 35
4. 45

Correct answer: 4. 45

Explanation: Nitrates level >50 increases the risk of infantile methaemoglobinaemia. Ref: Park's textbook of PSM 25th edition, pg 783